True about Polymerase Chain Reaction are all except-
1. Thermostable enzyme
2. DNA denaturation, followed by annealing
3. Specific primers are required
4. Thermolabile enzymes

Correct answer: 4. Thermolabile enzymes

Explanation: Ans. is 'd' i.e., Thermolab lie enzymes* Polymerase Chain Reaction is invitro amplification of a desired fragment of DNA* Specific amplification of a desired fragment of DNA is possible only because this process uses specific primers which are complementary to flanking sequences of the desired fragment.* It involves three steps in every cycle# Denaturation at 94 or 95degC# Annealing at (Tm - 5)degC# Elongation at 72degC* This way if Polymerase Chain Reaction is allowed to go through n number of cycles, by the end we get 2n products. Hence it is a sensitive technique.* Hence it involves DNA denaturation followed by annealing.* As the DNA polymerase that is used in this process should be capable of withstanding repeated cycles of 94 or 95degC, the enzyme should be thermostable. Hence the DNA polymerase used in Polymerase Chain Reaction is extracted from an organism which lives in hot springs. That organism being Thermus aquaticus and hence the DNA polymerase is Taq DNA polymerase* Optimum temperature required for this enzyme for elongation is 75degC. Hence elongation is carried out at 72degC